This drug depolarizes cell membrances of aerobic gram positive bacteria. It is effective against vancomycin resistant enterococcal infections. It may cause myopathy especially in patients taking statins. It is:
1. Teicoplanin
2. Da[tomycin
3. Linezolid
4. Streptogramin

Correct answer: 2. Da[tomycin

Explanation: (Ref: KDT 6/e p741) Daptomycin is a newer antibiotic that acts by causing depolarization of bacterial cell membranes. It is effective in MRSA, VRSA and even streptogramin resistant SA infections as well as VRE infections. It can cause myopathy in patients taking statins.